In cirrhotic ascites, which diuretic is preferred ?
1. Furosemide
2. Acetazolamide
3. Spironolactone
4. Any of the above

Correct answer: 3. Spironolactone